Which of the following drug acts against Pseudomonas
1. Piperacillin
2. Methicillin
3. Nafcillin
4. Cloxacillin

Correct answer: 1. Piperacillin

Explanation: Ans. is 'a' i.e., Piperacillin Penicillins effective against PseudomonasPiperacillinMezlocillinTicarcillinCarbenicillinList of other Antipseudomonal have already been given. (May 2003, pharma Q. No. 53)Methicillin, Nafcillin and cloxacillin are penicillinase resistant penicillins